HLA-I is present on
1. All nucleated cells
2. Only on cells of immune system
3. Only on B-cells
4. Only on T-cells

Correct answer: 1. All nucleated cells

Explanation: Harshmohan textbook of pathology 7th edition. *HLA system composed of antigenic proteins present on all nucleated cells of the body and platelets.